Small pox vaccine was invented by
1. Louis pasture
2. Edward Jenner
3. Paul Eugene
4. John snow

Correct answer: 2. Edward Jenner

Explanation: Small pox vaccine Introduced by Edward Jenner in 1796, was the first successful vaccine to be developed Ref : Park's Textbook of Preventive and Social Medicine; 23rd edition